Which procedure has the highest incidence of ureteric injury?
1. Abdominal hysterectomy
2. Vaginal hysterectomy
3. Wertheim's hysterectomy
4. Adnexectomy

Correct answer: 3. Wertheim's hysterectomy

Explanation: Wertheim's hysterectomyThe incidence of ureteral injury has increased during the past four to five decades since the removal of the uterine cervix has become a standard procedure with abdominal hysterectomy.Removal of the cervix is the riskiest part of the total abdominal hysterectomy procedure because most injuries occur in the lowest 3 cm of ureter just above the bladder.Operative Procedure Incidence of Ureteral Injury (%)1. Abdominal hysterectomy 0.5 - 1.0%2. Vaginal hysterectomy 0.1%3. Extensive Wertheim 1.0 - 2.0%4. Hysterectomy Adnexectomy 0.1%5. Marshall-Marchetti-Krantz procedure <0.1%Reference: Shaw's Textbook of Gynaecology; 16th edition